Lowest recurrence in nocturnal enuresis is seen with –
1. Bed alarms
2. Desmopressin
3. Imipramine
4. Oxybutynin

Correct answer: 1. Bed alarms